Drug given for antibiotic associated pseudomembranous enterocolitis and is part of anti H. Pylori treatment:
1. Amoxicillin
2. Vancomycin
3. Metronidazole
4. Clotrimazole

Correct answer: 3. Metronidazole

Explanation: Ans. C. MetronidazoleTriple drug regimen given for H. Pylori include- clarithromycin, amoxicillin, tetracycline, metronidazole. Out of all these drugs metronidazole is drug of choice for pseudomembranous colitis.